Anterior uveitis is commonly associated with:
1. Psoriasis
2. Reactive arthritis
3. Ankylosing spondylitis
4. All of the above

Correct answer: 4. All of the above

Explanation: Ans. D: All of the above